Spinal cord and nerve roots are supplied by -
1. Anterior spinal artery
2. Posterior spinal artery
3. Ascending cervical artery
4. All of the above

Correct answer: 4. All of the above

Explanation: Ans. is 'd' i.e., All of the above